All of the following are true about Borderline tumors except
1. 10% of all epithelial tumours are borderline.
2. they have a good prognosis.
3. Metastases are common
4. Absence of stromal invasion

Correct answer: 3. Metastases are common